Haematocrit is the ratio of:
1. WBC to whole blood
2. Platelets to whole blood
3. RBCs to whole blood
4. Total blood cells to plasma

Correct answer: 3. RBCs to whole blood

Explanation: Haematocrit (also known as packed cell volume) is the volume percentage (%) of red blood cells in blood.